Puff of smoke appearance in cerebral angiography is a feature of
1. Carotid artery thrombosis
2. Alexander disease
3. Moya moya disease
4. Krabbe's disease

Correct answer: 3. Moya moya disease

Explanation: Lenticulostriate arteries form a rich collateral network around occlusive lesion - puff of smoke.
Anterior circulation > posterior.